Gastrosplenic ligament contains ?
1. Splenic vessels
2. Tail of pancreas
3. Short gastric artery
4. Portal vein

Correct answer: 3. Short gastric artery

Explanation: Short gastric artery